Sudha, a lot 20 year old female developed antibiotic associated pseudomembranous colotis caused by Costridium difficile. Whinch of the following drugs is most likely to be effective in the treatment of this disease?
1. Ampicillin
2. Clindamycin
3. Metronidazole
4. Chloramphenicol

Correct answer: 3. Metronidazole

Explanation: (Ref: KDT 6/e p791) Drugs used for the treatment of psudoembranours colitis are Metronidzole (Drug of choice) Vancomycin